Biliary stricture developing after laparoscopic cholecystectomy usually occurs at which part of common bile duct?
1. Upper
2. Middle
3. Lower
4. All with equal frequency

Correct answer: 1. Upper

Explanation: Most common duct injuries occur during attempted dissection of the cystic duct when the CBD is mistaken for cystic duct. These injuries involve transection of the upper part of the CBD and excision of a variable portion of the CBD proximal to first transection, including cystic duct-common duct junction. The stewart-way classification of laparoscopic bile duct injury Class Criteria I. CBD mistaken for cystic duct but recognized, cholangiogram incision of cystic duct extended into CBD II. Lateral damage to common hepatic duct from cautery or clips placed on duct, associated bleeding, poor visibility. III. CBD mistaken for cystic duct, not recognized on; CBD, CHD, RHD, LHD transected or resected IV. RHD mistaken for cystic duct, RHA mistaken for cystic artery, RHD and RHA transected; lateral damage to the RHD from cautery or clips placed on ducts.